Which of the following is not true about Churg Strauss Syndrome
1. Asthma
2. Peripheral eosinophilia
3. Vasculitis of multiple organ systems
4. Intravascular Granulomas

Correct answer: 4. Intravascular Granulomas

Explanation: Answer is D (Intravascular Granulomas): Churg Strauss Syndrome is typically charachterized by extravascular granulomas. `Churg Strauss Syndrome also referred to allergic angitis and granulomatosis is charachterized by asthma, peripheral and tissue eosinophilia, extravascular granuloma formation and vasculitis of multiple organ systems '- Harrison's 18th `Churg Strauss Syndrome is typically associated with Cutaneous Extravascular Necrotizing Granulomas (CENG)'. - Practical Immunodermatology Note that intravascular granulomas present within the walls of the vessels themselves may also be seen in Churg Strauss Syndrome. This is however not a charachteristic feature.